Which is true regarding shoulder dislocation?
1. Posterior dislocation is often over-looked
2. Pain is severe in anterior dislocation
3. Radiography may be misleading in posterior dislocation
4. All of the above

Correct answer: 4. All of the above

Explanation: D i.e. All of the above